Which of the following is not true about medical management of uncomplicated GERD?
1. Most effective management is PPI
2. Advice head tilt to up 15 degrees helps in management
3. Long term PPI increases malignancy risk
4. Adequate dose of PPI for 8 weeks is the recommended treatment

Correct answer: 3. Long term PPI increases malignancy risk

Explanation: Ans. (c) Long term PPI increases malignancy riskRef: Bailey and Love 27th Edition, Page 1079Medical treatment of GERD:Simple advices:* Weight loss* Stop smoking* Alcohol cessation* Tea and coffee avoidance* Avoid large meals* Modest head up tilt. (This effect is equal to H2 blockers)* Added Pillows have no effect.Medical Treatment:* PPI are most effective.* 8 weeks of PPI gives excellent response of 90%* Infact many patients will be long term PPI as they cannot modify their lifestyle* Risk of cancer stomach is unwarranted and no proven study on this aspect on long term PPI